Meckel's diverticulum arises from:
1. The foregut
2. Caecum
3. Colon
4. Ileum

Correct answer: 4. Ileum

Explanation: Ileum